Which arm binds the aminoacyl tRNA to the ribosomal surface?
1. Acceptor arm
2. Anticodon arm
3. DHU arm
4. Pseudouridine arm

Correct answer: 4. Pseudouridine arm

Explanation: Binding site of tRNA Function Acceptor arm Covalent attachment with ester bond Pseudouridine arm Non-covalent binding of A-site of ribosome during initiation and elongation DHU arm Recognize specific Amino Acyl tRNA synthetase enzyme.